For differentiating Inguinal hernia and femoral hernia the landmark will be -
1. Pubic symphysis
2. Femoral artery
3. Inferior epigastric vessel
4. Pubic tubercle

Correct answer: 4. Pubic tubercle

Explanation: Ans is 'd' ie Pubic tubercleThe landmark for differentiating b/w femoral hernia and inguinal hernia is the pubic tubercle.Inguinal hernia (Indirect) : The neck of the sac lies above and medial to the pubic tubercle.Femoral hernia : The neck of the sac lies below and lateral to the pubic tubercle.Inferior epigastric vessels is landmark for differentiating b/w direct & indirect inguinal hernias. - neck of the direct hernia lies medial to the inferior epigastirc vessels, where as the neck of the indirect hernia lies lateral to it.